The number of tonsillar crypts is usually:
1. 5-Feb
2. 15-Dec
3. 50-100
4. 1500-3000

Correct answer: 2. 15-Dec

Explanation: Tonsillar crypts are pockets or folds that occur naturally in the tonsils. The average adult tonsil has anywhere from 10 to 20 crypts. Crypts in the tonsils are usually small and debris free